Fungus causing otomycosis most commonly is
1. Aspergillus fumigatus
2. Aspergillus niger
3. Candida
4. Mucor

Correct answer: 2. Aspergillus niger

Explanation: Otomycosis Otomycosis is a fungal infection of the ear canal that often occurs due to Aspergillus niger, A. fumigatus( niger > fumigatus) or Candida albicans. It is seen in hot and humid climate of tropical and subtropical countries. Secondary fungal growth is also seen in patients using topical antibiotics for treatment of otitis externa or middle ear suppuration. clinical features: include intense itching, discomfort or pain in the ear, watery discharge with a musty odour and ear blockage. The fungal mass may appear white, brown or black and has been likened to a wet piece of filter paper. Examined with an otoscope: A. niger appears as black- headed filamentous growth, A. fumigatus as pale blue or green and Candida as white or creamy deposit. Meatal skin appears sodden, red and oedematous. Ref:- Dhingra; pg num:-52